An infant presented with erythematous lesions on cheek, extensor aspect of limbs, mother has history of bronchial asthma, the probable diagnosis is
1. Air borne contact dermatitis
2. Atopic dermatitis
3. Seborraehic dermatitis
4. Infectious eczematoid dermatitis

Correct answer: 2. Atopic dermatitis

Explanation: B i.e. Atopic Dermatitis